Which of the following disease show fibrinoid necrosis?
1. Tuberculosis
2. Vasculitis
3. Abscess
4. Pancreatitis

Correct answer: 2. Vasculitis

Explanation: Fibrinoid necrosis is a special form of necrosis usually seen in immune reactions involving blood vessels. This pattern of necrosis typically occurs when complexes of antigens and anti- bodies are deposited in the walls of arteries. Deposits of these "immune complexes," together with fibrin that has leaked out of vessels, result in a bright pink and amorphous appearance in H&E stains, called "fibrinoid" (fibrin-like) by pathologists